Among the folowing, which one is a Long acting Beta agonist?
1. Salbutamol
2. Propranolol
3. Salmeterol
4. Terbutaline

Correct answer: 3. Salmeterol

Explanation: Salmeterol